All are vasodilators except –
1. Procaine
2. Lidocaine
3. Cocaine
4. Chlorprocaine

Correct answer: 3. Cocaine